True regarding peptic ulcer disease:
1. Posteriorly perforated ulcers are always managed conservatively
2. Anterior ulcers bleed more commonly Increased acid production is prerequisite for gastric ulcer
3. Anti-H. pylori drugs must be included in the treatment regimen
4. H. pylori is known to increase the incidence of gastric malignancy

Correct answer: 4. H. pylori is known to increase the incidence of gastric malignancy

Explanation: Ans is 'd' (H. pylori is known to increase the incidence of gastric malignancy) Surgery is almost always indicated for perforated ulcers, although occasionally nonsurgical treatment can be used in stable patients without peritonitis, and in whom radiologic studies document a sealed perforation. Though increased acid production is associated with duodenal ulcers, its not so with gastric ulcers. Gastric ulcers type I and type IV are associated with decreased acid secretion. (Gastric type II and type III are associated with acid hypersecretion) Anti-H.pylori drugs are included in those pts. of peptic ulcer ds. who test positive for H. pylori.